Antacid combinations of magnesium and aluminium salts are superior to single component preparations because.
1. They have rapid as well as sustained acid neutralizing action
2. They are less likely to affect gastric emptying
3. They are less likely to alter bowel movement
4. All of the above

Correct answer: 4. All of the above

Explanation: (Ref: KDT 6/e p635) Mg (OH)2 has a quick onset whereas Al (OH)3 acts for a long time. Magnesium salts cause osmotic diarrhea whereas aluminium salts cause constipation. Combination of these two agents minimizes the impact on bowel movements.